Which of the following antidote is used in methyl alcohol poisoning?
1. EDTA
2. Alpha methyl dopa
3. Acetyl cysteine
4. Fomepizole

Correct answer: 4. Fomepizole

Explanation: Among the options given fomepizole is the antidote used in methyl alcohol poisoning. Fomepizole acts by inhibiting the conversion of methanol into toxic metabolites by antagonizing the enzyme alcohol dehydrogenase. Other commonly used antidotes in this case are: intravenous infusion of ethanol or oral administration of 60ml of ethyl alcohol in 200ml fruit juice. In severe cases hemodialysis is the treatment of choice.